Perception of objects without external stimulus is called:
1. Hallucination
2. Illusion
3. Delusion
4. Euthymia

Correct answer: 1. Hallucination

Explanation: Ans) a (Hallucination) Ref Ahuja 6/E page 59Perception of objects without stimulus is hallucination.Delusion-Are false unshakable beliefs which are not in keeping with the patients sociocultural and educational background and not amenable to reasoningIt is a disorder of thoughtTypes of delusions in the following conditionDepression - nihilistic delusionDelirium - transient delusionSchizophrenia - delusion of persecution/ reference/control/infidelityMania - delusion of grandeurNote:delusions are not seen in compulsive disorder, anxiety and dementiaHallucinationsFalse perception experienced without external stimulus to the sense organsAuditory hallucinations are the commonest in non organic psychiatric disordersVisual hallucinations are commonest in organic psychiatric disordersHallucinations is involuntary, does not depend on will of observerIt occurs in inner subjective spaceIt is vivid sensory perceptionIllusionsIllusions are misconceptions of external stimuli